Patient with pelvic fracture presents with anuria. After 24 hrs bladder is not palpable. Possible diagnosis includes:a) Bulbar urethral injuryb) Posterior urethral injuryc) Extraperitoneal rupture of bladderd) Intraperitoneal rupture of bladder
1. ab
2. bc
3. bd
4. cd

Correct answer: 4. cd

Explanation: The provided clues suggest rupture of the bladder, either intraperitoneal or extraperitoneal. The differentiation between the two could not be made on the basis of given clinical findings.